One of the following is known as Tuberculin Conversion Index
1. Incidence of disease
2. Prevalence of infection
3. Incidence of infection
4. Prevalence of disease

Correct answer: 3. Incidence of infection